Which of the following antibiotic structurally resembles aminoacyl tRNA and also inhibits protein synthesis:
1. Puromycin.
2. Tetracycline.
3. Chloramphenicol.
4. Sulphonamides.

Correct answer: 1. Puromycin.

Explanation: Puromycin structurally resembles aminoacyl t-RNA and inhibits protein synthesis by causing premature termination. Tetracyclines inhibit the binding of aminoacyl-tRNA to the A site.